Mechanism of action thiazide is ?
1. Na+Cl- symport inhibitor
2. Na+K+ symport inhibitor
3. Carbonic anhydrase inhibitor
4. Osmotic diuresis

Correct answer: 1. Na+Cl- symport inhibitor

Explanation: Ans. is 'a' i.e., Na+ Cl- synport inhibitor